All the following is true about relations left kidney except
1. It is related to pancreas without intervening peritoneum
2. Lateral part of lower pole is related to Splenic flexure
3. Medial part of lower pole is related to Jejunum and left colic artery
4. Hilum is related to duodenum

Correct answer: 4. Hilum is related to duodenum